A 50-year-old man complains of swelling of the neck and shortness of breath for 7 days. He has noticed some nasal stuffiness with hoarseness of his voice for about 4 weeks and had attributed these symptoms to an upper respiratory infection. He denies the use of alcohol but has smoked two packs of cigarettes per day for 35 years. Lately, he feels as though something is pushing against his throat. On physical examination, the patient's face appears ruddy and swollen. The jugular veins are distended. Following sign is observed in the patient. Chest x ray was done with the following findings. What is the most likely diagnosis?
1. Retrosternal goiter
2. Thymoma
3. SVC syndrome
4. Congestive cardiac failure

Correct answer: 3. SVC syndrome

Explanation: 1st image shows the classical Pemberton sign. 2nd image shows a mass in the right mediastinum-s/o CA lung causing compression of SVC. The SVC receives venous drainage from the head, neck, upper limb, and thorax. Located in the upper mediastinum, this thin-walled vessel is susceptible to pressure from external sources. The most common cause of such external compression is malignancy, usually from a right-side bronchogenic carcinoma. Presents with dyspnea, hoarseness and Horner syndrome. The development of SVC syndrome is often an emergency because the trachea may be obstructed, leading to respiratory compromise.